In donovanosis-
1. Pseudolymphadenopathy
2. Penicillin is used for treatment
3. Painful ulcer
4. Suppurative lymphadenopathy

Correct answer: 1. Pseudolymphadenopathy

Explanation: Ans. is `a' i.e., Pseudolymphadenopathy Donovanosis Caused by Calymmatobacterium granulomatis. C. granulomatis is ? - Gram negative - Encapsulated - Nonmotile - Intracellular It shares many morphologic and serologic characteristic (antigenic) and > 99% homology at the nucleotide level with Klebsiella. Clinical manifestations - IP --) 1-4 weeks - Begins as one or more subcutaneous nodules that erode through skin to produce clean, granulomatous, sharply defined, usually painless lesions. - The genitalia are involved in 90% of cases. - Genital swelling, particularly of labia, is common. - In donovanosis, heaped-up granulomatous tissue may follow and subcutaneous extension to inguinal area may form "pseudo-buboes"; however, the absence of true lymphadenopathy is the hallmark of this infection. - Complications Pseudoelephantiasis, phimosis and paraphimosis. Diagnosis: - The preferred diagnostic method involves demonstration of typical intracellular Donovan bodies within large mononuclear cells visualized in smears prepared from lesions or biopsy specimens. - Stain used is wright - Giemsa Treatment: - Azithromycin (DOC) - Doxycycline (2'd choice) - Chloramphenicol